While putting nasogastric tube, the length is measured from upper incisors. What is the distance from upper incisors to cardia of the stomach?
1. 15 cm
2. 25 cm
3. 40 cm
4. 60 cm

Correct answer: 3. 40 cm

Explanation: The esophagus is about 25 cm (10 in.) long. The distance from the upper incisor teeth to the beginning of the esophagus (cricoid cartilage) is about 15 cm (6 in.); from the upper incisors to the level of the bronchi, 22 to 23 cm (9 in.); and to the cardia, 40 cm (16 in.).